A psychotic disorder most commonly pertains to which of the following symptoms ?
1. Weeping or laughing
2. Agitation or retardation
3. Obsessions or compulsions
4. Delusions or hallucinations

Correct answer: 4. Delusions or hallucinations